Mainstay of treatment of uveitis –
1. Antibiotics and cycloplegics
2. Steroids and cycloplegics
3. Antibiotics and steroids
4. Surgery

Correct answer: 2. Steroids and cycloplegics